Toxic effects of long term administration of a glucocoocoid include:
1. Hepatotoxicity
2. Osteoporosis
3. Precocious puberty
4. Lupus like syndrome

Correct answer: 2. Osteoporosis

Explanation: Glucocorticoids have lot of adverse effects on long term use. These can lead to Cushing syndrome Hyperglycemia Osteoporosis Delayed wound healing Increased susceptibility to infections Cataract Glaucoma and many other adverse effects.